Which of the following condition is associated with limitation of both adduction and abduction of the affected eye?
1. Duane retraction syndrome Type 1
2. Duane retraction syndrome Type 2
3. Duane retraction syndrome Type 3
4. Double elevator palsy

Correct answer: 3. Duane retraction syndrome Type 3

Explanation: Weakness of both adduction and abduction of the eye is a feature of Duane retraction syndrome type 3. Duane retraction syndrome is a congenital, incomitant ocular motility disorder characterized by abnormal function of lateral rectus muscle in the affected eye together with retraction of the globe and narrowing of the palpabrel fissure on attempted adduction. Retraction of the globe and narrowing of the palpabrel fissure occur due to simultaneous contraction of medial and lateral rectus muscles on attempted adduction. There are of 3 types: DRS type 1 - limited abduction, normal adduction DRS type 2 - limited adduction, normal abduction DRS type 3 - limited adduction and abduction